Patients with which of the following gynecologic condition suffers from spasmodic dysmenorrhoea?
1. Endometriosis
2. DUB
3. Submucous fibroid
4. Ovarian cyst

Correct answer: 3. Submucous fibroid

Explanation: Spasmodic dysmenorrhea is experienced in women suffering from a submucosal fibroid and also by those using an IUD. Congestive type of dysmenorrhea starts before the onset of menstruation and is relieved once the menstruation starts. It is characteristically associated with endometriosis and PID. The three types of dysmenorrhea are: Primary with no organic cause Secondary due to pathologic cause Membranous in which cast of endometrial cavity is shed as a single entity. Ref: Clinical Methods in Obstetrics and Gynecology: A Problem Based Approach edited by Asha Oumachigui page 164. Shushan A. (2013). Chapter 38. Complications of Menstruation & Abnormal Uterine Bleeding. In A.H. DeCherney, L. Nathan, N. Laufer, A.S. Roman (Eds), CURRENT Diagnosis & Treatment: Obstetrics & Gynecology, 11e